Morphologic features of the celiac disease include all, except -
1. Increase in intra-epithelial lymphocytes
2. Increase crypt: villous ratio
3. Distended macrophages with PAS positive granules in lamina propria
4. Elongated, hyperplastic and tortuous crypts

Correct answer: 3. Distended macrophages with PAS positive granules in lamina propria